Generation time for leprosy bacillus is?
1. 8-10 days
2. 10-12 days
3. 12-15 days
4. 15-20 days

Correct answer: 3. 12-15 days

Explanation: The generation time of the lepra bacillus has been found to be exceptionally long ,12-13 days on the average but may vary from 8-42 days. Reference:Textbook of Microbiology, Ananthanarayan & Paniker ,9th edition,page no:364.